Pugilistic attitude is characteristically seen in ?
1. Burns
2. Drowning
3. Electrocution
4. Hanging

Correct answer: 1. Burns

Explanation: Ans. is 'a' i.e., Burns